Resistant hypertension is when goal not achieved with-
1. 4 drugs + diuretics
2. 2 drugs + diuretics
3. 3 drugs + diuretics
4. 5 drugs + diuretics

Correct answer: 2. 2 drugs + diuretics

Explanation: The term Resistant hypertension refers to patients with blood pressure persistently >140/90mm hg despite taking 3 or more antihypertensive drugs including a diuretic. It is more common in patients aged >60 yrs . Resistant hypertension may be related to pseudoresistance(high office bp and low home bp),non adherent to therapy, identifiable causes of HTN(including obesity and excessive alcohol intake) . Ref:Harrison 20 th edition pg no 1905